Half-life of factor VIII
1. 2-4 hours
2. 8-12 hours
3. 6 minutest
4. 60 days

Correct answer: 2. 8-12 hours

Explanation: Factor VIII (8) Dosage Calculated on the basis that 1 unit/kg of factor VIII leads to a rise in plasma factor VIII of approximately 2%. EXAMPLE: 50 units/kg will increase factor VIII level by ~100%. Doses are rounded UP to the nearest l size. The half-life of factor VIII is 8-12 hours. Refer also to RCH Clinical Practice Guideline Haemophilia.